Microbial killing below MIC is known as:
1. Adverse effect
2. Post antibiotic effect
3. Both
4. None

Correct answer: 2. Post antibiotic effect

Explanation: Ans. is. 'b' i. e., Post antibiotic effect